Definitive host is one -a) In which sexual multiplication takes placeb) In which asexual multiplication takes placec) Harbors adult formd) Harbors larval form
1. ac
2. bc
3. ad
4. b

Correct answer: 1. ac